Secretion of prolactin is inhibited by:
1. Dopamine
2. Nor-adrenaline
3. Adrenaline
4. Serotonin

Correct answer: 1. Dopamine

Explanation: Dopamine keeps inhibitory control over prolactin.This explains the reason behind hyperprolactinemia in psychotic patients who are treated with dopamine antagonists.Dopamine agonists (bromocriptine, cabergoline) therefore are used in treatment of hyperprolactinemia, acromegaly.